Garden spade deformity is seen in:
1. Barton's fracture
2. Colles fracture
3. Smith's fracture
4. Bennet's fracture

Correct answer: 3. Smith's fracture

Explanation: Smith fracture - reverse Colles due to malunion in smith fracture = "Garden Spade Deformity" In colles fracture malunion-dinner fork deformity is seen extra articular fracture of DER with dorsal displacement. Barton's fracture: The true Barton's fracture is a split of the volar edge of the distal radius with anterior (volar) subluxation of the wrist. This has been reduced and held with a small anterior plate Bennett's fracture is an oblique, simple intra-articular fracture of the base of the first metacarpal bone. Chauffeur's fracture,also known as Hutchinson fracture, is a type of fracture of the forearm, specifically the radial styloid process.